. If the right cardiac silhouette is obliterated, it means the pathology involves:
1. Right middle lobe
2. Right lower lobe
3. Right atrium of heart
4. Right ventricle of heart

Correct answer: 1. Right middle lobe

Explanation: Right middle lobe An intra-thoracic radio-opacity, if in anatomic contact with a border of heart, aorta or diaphragm, will obscure that border. This is known as silhouette sign. An intra-thoracic lesion not anatomically contiguous with a border or a normal structure will not obliterate that border. When examining the lung fields of a normal CXR, the silhouettes of the heart borders, the ascending and descending aorta, the aortic knob and the hemidiaphragms should be clear. Obliteration of any of these silhouettes by a radio-opacity can be caused by infection in the lung, blood, pus, etc. All of these silhouettes, or structures, are in contact with a specific portion of the lung. Therefore, by determining exactly which structure is obliterated, you can determine where the lung pathology is located. Silhouette/Structure Contact with lung Upper right heart horderlascending aorta Anterior segment of RUL Right heart border RML (medial) Upper left heart border Anterior a sement of LUL ,,, Left heart border Lingula (anterior) Aortic knob Apicoposterior segment of LUL Hemidiaphragms Basal seg.of lower lobes